Name the paired cartilages:
1. Thyroid
2. Cricoid
3. Corrniculate
4. Hyoid

Correct answer: 3. Corrniculate

Explanation: Ans. C (Comiculate) # Thyroid cartilage( Adams apple) is the largest5'cartilage of the larynx# Cricoid cartilage is the only cartilage that forms complete ring13Larygeal CartilageUnpairedPairedThyroidQArytenoidQCricoidComiculateQEpiglottisQCuneiformQ